Manifestations of Vitamin-E deficiency does not include
1. Hemolysis
2. Testicular atrophy
3. Neurological Involvement
4. Thrombocytopenia

Correct answer: 4. Thrombocytopenia

Explanation: In many animals, the Vit E deficiency is associated with, sterility, degenerative changes in muscle, megaloblastic anaemia, increased fragility of erythrocytes and changes in the central nervous system. ref:- Satyanarayana biochemistry 4th ed page 129